Cauliflower ear is -
1. Keloid
2. Perchondritis in Boxers
3. Squamous cell carcinoma
4. Anaplastic cell carcinoma

Correct answer: 2. Perchondritis in Boxers